Which antiepileptic drug leads to gingival hyperplasia:
1. Phenytoin
2. Carbamazepine
3. Valproate
4. Lamotrigine

Correct answer: 1. Phenytoin

Explanation: Ans. A. PhenytoinPhenytoin causes gingival hyperplasia, hirsutism, megaloblastic anemia, osteomalacia. Carbamazepine causes agranulocytosis, valproate is hepatotoxic and also causes spina bifida. Lamotrigine is known to cause Steven Johnson syndrome.